A body brought for autopsy with history of poisoning. On postmortem examination there is dark brown postmortem staining and garlic odour in stomach. In this case the poisoning is most likely due to -
1. Hydrocyanic acid
2. Carbon dioxide
3. Aniline dye
4. Phosphorus

Correct answer: 4. Phosphorus

Explanation: The information in question are :-


Dark brown postmortem staining.
Garlic odor.

Both are seen in phosphorus poisoning.